A case of obstructed labour which was delivered by caesarian section complains of cyclical passage of menstrual blood in urine. Which is the most likely site of fistula?
1. Urethrovaginal
2. Vesico-vaginal
3. Vesico-uterine
4. Uretero uterine

Correct answer: 3. Vesico-uterine

Explanation: Women with vesicocervical or vesicouterine fistula may present with cyclical hematuria at the time of mensuration. Classically fistulae is present between 5-10 days after direct surgical injury such as cesarian section as in this clinical scenario. Ref: Obstetrics and Gynaecology By Sarabatnam Arulkumaran, Page 634 ; Textbook of Gynecology By DC Dutta, 4th Edition, Pages 386-7